In Colle's fracture, distal fragment is:
1. Shifted dorsally
2. Angulated laterally
3. Supinated
4. All of the above

Correct answer: 4. All of the above

Explanation: Ans. D i.e. All of the above